Oesophageal atresia may occur as a part of VACTERAL group of anomalies. What does `TE' stand for?
1. Tetralogy of Fallot
2. Thoracic empyema
3. Tracheo-oesophageal fistula
4. Talipes equinovarus

Correct answer: 3. Tracheo-oesophageal fistula

Explanation: Ans. is 'c' i.e., Tracheo-oesophageal fistulaVACTERL association is a disorder that affects many body systems. VACTERL stands for :V:Vertebral defectsA:Anal atresiaC:Cardiac defectsTE:Tracheo-Esophageal fistulaR:Renal anomalies,L:Limb abnormalities.People diagnosed withVACTERL association typically have at least three of these characteristic features.